Highest Contraceptive failure is reported in
1. Spermicidal methods
2. Implant
3. Oral contraceptive pills
4. IUD

Correct answer: 1. Spermicidal methods

Explanation: - Spermicidal methods has pearl index of 10-25 / HWY ( Highest ). - Contain chemical - Non oxynol 9 - MOA - By rupture of plasma membrane of Acrosomal cap.